Which of the following DOES NOT cause an increase in serum amylase -
1. Pancreatitis
2. Carcinoma lung
3. Renal failure
4. Cardiac failure

Correct answer: 4. Cardiac failure

Explanation: Serum amylase is not related to cardiac failure Ref Davidson edition23rd pg 838